Features of alcohol withdrawl are all EXCEPT:
1. Epileptic seizure
2. Restlessness
3. Hallucination
4. Hypersomnolence

Correct answer: 4. Hypersomnolence

Explanation: Ans. D i.e. HypersomnolenceAlcohol and psychiatry Wernicke's encephalopathy involves: Mammilary bodiesKorsakoff's syndrome presents as:- Profound and persistent anterograde amnesia andConfabulationFeature of alcoholic paranoia: HallucinationQuestionarrie used: CAGEAlcohol withdrawl:- Visual and tactile hallucination (hangover),- Delirium tremens- MC symptom of alcohol withdrawl;Disorientation,Anxiety,Perceptual defect;Chlordiazepoxide is used for management